Migratory thrombophlebitis is seen most commonly with -
1. Testicular cancer
2. Breast cancer
3. Pancreatic cancer
4. Liver cancer

Correct answer: 3. Pancreatic cancer

Explanation: Migratory thrombophlebitis is seen in Pancreatic cancer (most commonly) - Lung cancer Gastrointestinal cancer - Ovarian cancer Prostate cancer - Lymphoma Migratory thrombophlebitis is also k/a Trousseau's syndrome